Which is not transmitted through blood -
1. Westnile
2. Cholera
3. Toxoplama
4. HBV

Correct answer: 2. Cholera

Explanation: Ans. is 'b' i.e., CholeraInfections transmitted by bloodViralBacterialParasiteso HCVo Pseudomonaso Taxoplasmao HBVo Yersiniao Malariao HIVo Coagulase negative stapho Babesiao CMVo Borrefia burgdorferio Chagas dis.o HTL V - Type 1(Lyme dis) o Hepatitis G virus (GBV-C) o Parvovirus B-19 o Hepatitis A (rarely) o West Nile virus o Creutzfeld - Jakob dis.